Fetal blood loss in abnormal cord insertion is seen in:
1. Vasa previa
2. Decidua basalis
3. Battledore placenta
4. Succenturiate placenta

Correct answer: 1. Vasa previa

Explanation: Ans. A. Vasa previa* Vasa previa is an uncommon condition in which fetal blood vessels traverse the lower uterine segment in advance of the presenting Part.* Neither the umbilical cord nor the placenta supports the vessels.* Vasa previa presents with painless vaginal bleeding at the time of spontaneous rupture of membranes or amniotomy (AROM).* Fetal shock or demise can occur rapidly.* Fetal mortality for cases not recognized before the onset of labor is reported to range between 22.5% and 100